True about valves in portal venous system
1. Present at the junction of superior mesenteric artery with the splenic artery
2. Within the portal vein only
3. The whole system is valveless
4. In the intra hepatic portion of portal vein

Correct answer: 3. The whole system is valveless

Explanation: Ref: Gray's 39e/p1026